Which of the following is not a carcinogenic virus
1. Hepatitis B
2. Hepatitis C
3. Molluscum contagiosum
4. HPV

Correct answer: 3. Molluscum contagiosum

Explanation: PV: an important cause of benign warts, cervical cancer, and oropharyngeal cancer # Oncogenic types of HPV encode two viral oncoproteins, E6 and E7, that bind to Rb and p53, respectively, with high affinity and neutralize their function. # Development of cancer is associated with integration of HPV into the host genome and additional mutations needed for acquisition of cancer hallmarks. # HPV cancers can be prevented by vaccination against high-risk HPV types. EBV: ubiquitous herpesvirus implicated in the pathogenesis of Burkitt lymphomas, B-cell lymphomas in patients with T-cell immunosuppression (HIV infection, transplant recipients), and several other cancers # The EBV genome harbors several genes encoding proteins that trigger B cell signaling pathways; in concert, these signals are potent inducers of B cell growth and transformation. # In the absence of T-cell immunity, EBV-infected B cells can rapidly "grow out" as aggressive B-cell tumors. # In the presence of normal T-cell immunity, a small fraction of infected patients develop EBV-positive B-cell tumors (Burkitt lymphoma, Hodgkin lymphoma) or carcinomas (nasopharyngeal, gastric carcinoma) Hepatitis B virus and hepatitis C virus: cause of between 70% and 85% of hepatocellular carcinomas worldwide # Oncogenic effects are multifactorial; dominant effect seems to be immunologically mediated chronic inflamma- tion, hepatocellular injury,